Theodore Croll 1986 is associated with:
1. Use of 18% hydrochloric acid and pumice - microabrasion
2. Use of 12 fluted bur to remove the defects
3. Bleaching techniques
4. Dakin's solution

Correct answer: 1. Use of 18% hydrochloric acid and pumice - microabrasion